What will be next investigation to be done in case of a 2 year old female child with lst episode of UTI -
1. Abdominal ultrasound
2. DMSA scan
3. Monthly urine culture
4. None of the above

Correct answer: 1. Abdominal ultrasound

Explanation: Abdominal ultrasound should be the investigation of choice for suspected UTI in any person of age . Ultrasound is a non invasive procedure and a very efficient procedure .